Displacement reaction is characteristically seen in :
1. Mania
2. Phobia
3. Conversion disorder
4. Depression

Correct answer: 2. Phobia

Explanation: B i.e. Phobia